Which of the following is best associated with lumefantrine?
1. Antimycobacterial
2. Antifungal
3. Antimalarial
4. Antimoebic

Correct answer: 3. Antimalarial

Explanation: Classification of antimalarial drugs: 1. 4-Aminoquino/ines :Chloroquine, Amodiaquine, Piperaquine. 2. Quinoline-methanol :Mefloquine. 3.Cinchona alkaloid :Quinine, Quinidine 4.Biguanides :Proguanil (Chloroguanide) Chlorproguanil 5.Diaminopyrimidines :Pyrimethamine -8-6.Aminoquino/inert :Primaquine 7.Sulfonamides :Sulfadoxine and sulfone Sulfamethopyrazine Dapsone 8. Tetracyclines: Tetracycline, Doxycycline 9. Sesquiterpine lactones :Aesunaye,Artemether 1 0. Amino alcohols: Halofantrine, Lumefantrine 11. Mannich base 12. Naphthoquinone :Atovaquon ESSENTIALS OF PHARMACOLOGY page no. 817